All are seen in DKA except -
1. Tachypnoea
2. Dehydration
3. Bradycardia
4. Abdominal pain\/tenderness

Correct answer: 3. Bradycardia

Explanation: Manifestations of DKA are : * Symptoms - Nausea/vomiting, thirst/polyuria, abdominal pain, shortness of breath. * Physical Findings - Tachycardia, dehydration/hypotension, tachypnea/Kussmaul respirations/ respiratory distress, abdominal tenderness (may resemble acute pancreatitis or surgical abdomen), hypothermia, lethargy/obtundation/cerebral edema/possibly coma. Reference : page 2418 Harrison's Principles of Internal Medicine 19th edition